All are anticraving agent for alcohol except:
1. Lorazepam
2. Naltrexone
3. Topiramate
4. Acamprosate

Correct answer: 1. Lorazepam

Explanation: Anticraving agents: These agent reduce craving, which is an important reason for relapse. The anticraving agents include naltrexoneQ, acamprosateQ, topiramate, serotonergic agents like fluoxetine and baclofen.